Which of the following disorders is not associated with delusion?
1. Mania
2. Delirium
3. Depression
4. Obsessive Compulsive Disorder

Correct answer: 4. Obsessive Compulsive Disorder

Explanation: Delusions are not a feature of Obsessive Compulsive Disorder. OCD is characterized by intrusive thoughts which is recognised by the patient as senseless. In delusion, the patient believes the thought as truth. Most common type of delusion in delirium is persecutory in nature. Such delusions are accompanied by anxiety and sometimes by agitation. Mania is associated with grandiose delusions and delusions associated with depression are guilt, nihilistic and persecutory in type. Delusions associated with schizophrenia includes delusions of thought insertion, delusions of thought withdrawal, delusions of thought broadcasting, delusions of passivity, delusions of somatic passivity, delusions of persecution, delusions of grandeur and delusions of reference. Ref: Harrison's Principles of Internal Medicine, 18th Edition, Chapter 391